Little's area is ?
1. Anteroinferior lateral wall
2. Anteroinferior nasal septum
3. Posteroinferior lateral wall
4. Posteroinferior nasal septum.

Correct answer: 2. Anteroinferior nasal septum

Explanation: Ans. is 'b' i.e., Anteroinferior nasal septum Little's area is situated in the anterior inferior part of nasal septum, just above the vestibule. Woodruff's plexus is situated in the posterior inferior part of lateral wall